A 26-year-old lady, complains to her gynaecologist of discomfort during intercourse. Pelvic examination demonstrates a frothy, yellow-green vaginal discharge with a strong odour and small, red, ulcerations of the vaginal wall. A wet mount preparation demonstrates motile, flagellated protozoa. Which of the following is the most likely causative organism?
1. Giardia lamblia
2. Trichomonas vaginalis
3. Candida albicans
4. Entamoeba histolytica

Correct answer: 2. Trichomonas vaginalis

Explanation: Trichomonas vaginalis, the causative organism of trichomoniasis, is a single-celled protozoan parasite with a predilection for infecting the vagina. The organism can be identified with intra-office wet mount preparations, cultured, or recognized on Pap smears (although this should be confirmed by culture, as the Pap smear is not a particularly reliable method). Candida albicans is a spore- and hyphae -forming fungus that can affect the vagina, often producing a discharge with a white, "cheesy" appearance. Entamoeba histolytica is an amoeba that can infect the gut. Giardia lamblia is a flagellated parasite that can infect the gut.